Cobra venom is primarily:
1. Musculotoxic
2. Neurotoxic
3. Cardiotoxic
4. Hematotoxic

Correct answer: 2. Neurotoxic

Explanation: Ans. B: Neurotoxic The venom of the King Cobra is primarily neurotoxic, but also contains cardiotoxic compounds. It is composed mostly of proteins and polypeptides. During a bite, venom is forced through the snake's half-inch (1.25 cm) fangs and into the wound, and quickly attacks the victim's central nervous system, and induces severe pain, blurred vision, vertigo, drowsiness, and paralysis. Envenomation progresses to cardiovascular collapse, and the victim falls into a coma